Omalizumab is -
1. Anti IgM antibody
2. AntilgG antibody
3. Anti IgE antibody
4. Anti IgD antibody

Correct answer: 3. Anti IgE antibody

Explanation: Ans. is 'c' i.e., Anti IgE antibody Drugs used in AsthmaBronchodilatorsDrugs reducing inflammation LeukotrieneantagonistsMast cell stabilizersCorticosteroidsAnti-IgEantibodya) b2, Sympathomimeticso Vlontc lukasto Zafirlukasto Sodium cromoglycateo Ketotifena) Systemico Hydrocortisoneo Prednisoloneb) Inhalationo Beclomethasomeo Budesonideo Fluticasoneo Flunisolideo Ciclesonideo Omalizumabo Salbutamolo Terbutalineo Bambuteralo Salmeterolo Formoteroio Ephedrineb) Methylxanthineso Theophyllineo Aminophyllineo Doxophylline c) Anticholinergicso Ipratropiumo Tiopratropium